False about MRCP
1. Non - invasive
2. To visualize bilary and pancreatic duct
3. Iodinated contrast agent are used
4. All of the above

Correct answer: 3. Iodinated contrast agent are used

Explanation: No need to inject contrast.
Stationary fluid in panceratic and biliary ducts serves as a intrinsic contrast.